Most important factor which decides the results of a randomized controlled trial is:
1. Inclusion of all age groups
2. 50% treated with placebo and 50% with drugs
3. 100% follow up
4. Effective randomization

Correct answer: 4. Effective randomization

Explanation: Ans. D: Effective randomization It is a procedure by which the participants are allocated into groups usually called 'study' and 'control' groups. Randomization is the heart of control trials. It eliminates selection bias